True about subcutaneous nodule in Rheumatic fevera) Non tenderb) Most common manifestationc) Present in extensor surfacesd) Associated with arthritis
1. ac
2. bc
3. ad
4. b

Correct answer: 1. ac